A pinkish red Flurorescence of urine with wood's Lamp is seen in
1. Lead poisoning
2. Porphyria cutanea tarda
3. Erythromelagia
4. Acrocyanosis

Correct answer: 2. Porphyria cutanea tarda

Explanation: B i.e. Porphyria cutanea tarda